The upper 1/3rd of vagina develops from
1. Mullerian ducts
2. Wolffian ducts
3. Sinovaginal bulbs
4. Endoderm

Correct answer: 1. Mullerian ducts

Explanation: Upper 1/3rd of vagina develops from uterovaginal canal(mesoderm) which is the union of lower vertical part of paramesonephric or mullerian duct. Lower 2/3rd of vagina develops from paramesonephric or mullerian tubercle arises from endoderrm of definitive urogenital sinus which gives two solid evagenations. The 2 solid evagenations growup and form sinovaginal bulb and then the 2 sinovaginal bulbs fuse together forming a thick cellular plate called the vaginal plate .